Metropathica hemorrhagica is best treated by :
1. Curettage of uterus
2. Progestogen
3. Estrogen
4. Clomiphene

Correct answer: 2. Progestogen

Explanation: Metropathia hemorrhagica is a type of DUB, Anovulatory bleeding seen in premenopausal women. The basic fault may lie in the ovaries or may be due to disturbance of the rhythmic secretion of the gonadotropin. There is slow rise in secretion of estrogen but no negative feedback inhibition of FSH. The net effect is gradual rise in the level of estrogen with concomitant phase of amenorrhea for about 6-8wks. As there is no ovulation, endometrium is under the influence of estrogen without being opposed by growth limiting progesterone for prolonged period. After the variable period, estrogen level falls resulting in endometrail shedding with heavy bleeding. First line of treatment is medical therapy.progesterone are the main hormones used in DUB in all age groups. Common preparations used are Norethisterone and medoxyprogesterone acetate. Ref: DC Dutt's textbook of gynaecology 7th edition Pg:155,157